Which of the following do not contribute to hilar shadow
1. Pulmonary arteries
2. Upper lobe pulmonary veins
3. Lower lobe pulmonary veins
4. Lobar bronchi

Correct answer: 3. Lower lobe pulmonary veins

Explanation: Lower lobe veins do not cross the hila and therefore do not contribute to hilar shadow.